NESTROFT test is used for screening of
1. Thalassemia
2. Sickle cell anemia
3. PNH
4. PCH

Correct answer: 1. Thalassemia

Explanation: NESTROFT (Naked eye single tube red cell osmotic fragility test) is used for screening  of thalassema.